Carhart's notch seen at:
1. 0.5 KHz
2. 1 KHz
3. 2 KHz
4. 4 KHz

Correct answer: 3. 2 KHz

Explanation: Ans: c (2 KHz) Ref: Dhingra, 3rd ed, p. 115 & p. 87Dip in bone conduction in otosclerosis & maximum occurs at 2000 Hz called Carhart notchDip Disappears after successful stapedectomy2 KHz dip - Otosclerosis4 KHz dip - Noise induced hearing loss8 KHz dip - Senile otosclerosis